All are risk factor for vaginal candidiasis except -
1. Diabetes mellitus
2. fflV
3. Hypertension
4. Pregnancy

Correct answer: 3. Hypertension

Explanation: Ans-CVaginal candidiasis is the fungal infection of the vagina with Candida albicans.Vaginal candidiasis can be sexually transmitted or associated with sexual activity but commonly occurs in women who are not sexually active.Characteristics symptoms of vaginal candidiasis are: -Itching, discomfort in the vagina or vulva.Curd-like vaginal discharge QBright red rashes affecting inner and outer parts of the vulva.